Active partner in lesbianism is called as -
1. Femme
2. Bugger
3. Catamine
4. Dyke

Correct answer: 4. Dyke

Explanation: In female homosexuality (lesbianism/triabadism), the active partner is known as dyke or butch and the passive agent (sterotypically feminine  in manner and appearance) is called femme.